Which is not a part of HACEK?
1. Haemophilus Aphrophilus
2. Acinetobacter Baumannii
3. Cardiobacterium Hominis
4. Kingella Kingae

Correct answer: 2. Acinetobacter Baumannii

Explanation: This is a group of small gram-negative rods that have in common the following: slow growth in culture, the requirement for high CO2 levels to grow in culture, and the ability to cause endocarditis. They are members of the human oropharyngeal flora and can enter the bloodstream from that site. The name "HACEK" is an acronym of the first letters of the genera of the following bacteria: Haemophilus aphrophilus and Haemophilus paraphrophilus, Actinobacillus actinomycetemcomitans, Cardiobacterium hominis, Eikenella corrodens, and Kingella kingae. Ref: Levinson W. (2012). Chapter 27. Minor Bacterial Pathogens. In W. Levinson (Ed), Review of Medical Microbiology & Immunology, 12e.